Secondary attack rate of chicken pox is -
1. 60
2. 50
3. 90
4. 40

Correct answer: 3. 90

Explanation: Secondary attack rate of chicken pox is high, upto 90%.